A useful thrombolytic agent that leads to plasmin activation is:
1. Vitamin K
2. Heparin
3. Streptokinase
4. Aspirin

Correct answer: 3. Streptokinase

Explanation: Among the given options only streptokinase is a fibrinolytic agent. Heparin is an anti coagulant and aspirin is an anti platelet drug. From medical pharmacology padmaja 4th edition Page no 341